Which form of the malarial parasite is present in saliva of an infective mosquito -
1. Ring form
2. Schizont
3. Gametocyte
4. Sporozoite

Correct answer: 4. Sporozoite

Explanation: Ans. is 'd' i.e., Sporozoite o Sporozoites are infective form of malarial Parasite.o When an infected mosquito, containing sporozoites in its saliva, bites a man, it inaculates sporozoites into human blood and human cycle (asexual cycle) starts.